Class II composites are inferior to amalgam due to:
1. Less abrasion resistance
2. Lower compressive strength
3. Lower tensile strength
4. Greater solubility

Correct answer: 1. Less abrasion resistance